Drugs used in schizophrenia include:
1. Chlorpromazine
2. Haloperidol
3. Olanzapine
4. All

Correct answer: 4. All

Explanation: A i.e. Chlorpromazine; B i.e. Haloperidol; C i.e. Olanzepine